Which drugs needs continuous monitoring of prothrombin time?
1. Aspirin
2. Lepirudin
3. Digoxin
4. Warfarin

Correct answer: 4. Warfarin

Explanation: Ref. KDT. Page. 624